Cyanosis cannot occur in severe anaemia because
1. Anaemic blood has a higher O2 carrying capacity per gram of Hb
2. It requires a critical concentration of reduced Hb in blood
3. Patient improves his alveolar oxygen as a compensation for anaemia
4. There is an increased blood flow through the skin

Correct answer: 2. It requires a critical concentration of reduced Hb in blood

Explanation: Cyanosis seen when deoxygenated hb >4 gm. so in severe anemia where HB less than 4 gm we cannot see cyanosis.